Which is not supplied by pelvic splanchnic nerves -
1. Rectum
2. Urinary bladder
3. Appendix
4. Uterus

Correct answer: 3. Appendix

Explanation: Most of the pelvic viscera are supplied by pelvic splanchnic nerve through inferior Hypogastric plexus.
-        Middle rectal plexus

Rectum

-        Prostatic plexus

Prostate
Seminal vesicles
Ejaculatory duct

-        Vesical plexus

Urinary bladder
Terminal part of ureters
Seminal vesicles

-        Utero-vaginal plexus

Uterus
Uterine tube
Ovaries
Erectile tissue of vestibule